Addmision rate bias is-
1. Reporting bias
2. Response bias
3. Berksoni an bias
4. None

Correct answer: 3. Berksoni an bias

Explanation: Ans. is 'c' i.e., Berksonian bias o Berksonian bias results from the greater probability of hospital admission for people with two or more diseases than for people with one disease. So, it is also known as admission rate bias.